Which is false about Penicillium marneffei
1. Black colonies
2. Dimorphic fungi
3. Amphotericin B is used for treatment
4. Causes fulminant infections in immunocompromised patients

Correct answer: 1. Black colonies

Explanation: Penicillium marneffei - initially colonies are velvety and white and later own becomes powdery and blue-green. P.marneffei has been reported as an important opportunist pathogen in the HIV infected individuals. The fungus is unique among penicillium being dimorphic. As it is a fungus it can treated with amphotericin B. Ref: Baveja textbook of microbiology; 4th edition